Agonistic action at which of the following adrenergic receptor result in the reduction of excess secretion
1. Beta 1 receptor
2. Beta 2 receptor
3. M2 receptor
4. Alpha 2 receptor

Correct answer: 4. Alpha 2 receptor

Explanation: Ref-KDT 6/e p146 Stimulation of Alpha 2 receptors located on ciliary epithelium reduces secretion of aqueous humor.